Cutaneous lesions may be produced by the following mycobacteria except -
1. M. intracellulare
2. M. Leprae
3. M. marinum
4. M. tuberculosis

Correct answer: 1. M. intracellulare